Most common acute complication of dialysis is -
1. Hypotension
2. Bleeding
3. Dementia
4. Muscle cramps

Correct answer: 1. Hypotension

Explanation: Hypotension is the most common acute complication of hemodialysis particularly among patients with diabetes mellitus.
Factors involved are
ÿ. Excessive ultrafiltration, with inadequate compensatory
vascular filling, impaired vasoactive or autonomic response, osmolar shis, overzealous use of anhypertensives.